Succinyl CoA is formed by all except ?
1. Proline
2. Isoleucine
3. Methionine
4. Valine

Correct answer: 1. Proline

Explanation: Histidine, proline, glutamine, arginineGlutamatea a-ketoglutaratelsoleucine, methionine, valineSuccinyl CoATyrosine, phenylalanineFumarateTryptophanAlanine a PyruvateHydroxyproline, serine, cysteine, threonine, glycinePyruvate